Punishment for gang rape is under
1. 376A IPC
2. 376B IPC
3. 376C IPC
4. 376D IPC

Correct answer: 4. 376D IPC

Explanation: 376D IPC: punishment for gang rape: each of the persons in the gang shall be deemed to commit the offence of rape d shall be punished with rigorous imprisonment for 20 years which may extend to life which means the imprisonment for the remainder of that persons natural life and with fine to meet medical expenses and for rehabilitation of the victim. Ref: FORENSIC MEDICINE AND TOXICOLOGY Dr PC IGNATIUS THIRD EDITION PAGE NO 299